Dehydrogenases of HMP shunt are specific for ?
1. FAD
2. NAD
3. NADPH
4. FMN

Correct answer: 3. NADPH

Explanation: C i.e. NADPH